Hyoid bone is closely associated with -
1. Bronchiogenic cyst
2. Cystic hygroma
3. Thyroglossal cyst/fistula
4. Branchial cyst

Correct answer: 3. Thyroglossal cyst/fistula

Explanation: Hyoid bone is closely associated with the thyroglossal tract from which thyroglossal cyst & fistula originate, thus during surgical excision of the thyroglossal cyst or fistula, the central part of the hyoid bone is excised (otherwise recurrence may occur).